Popcorn calcification is seen in-
1. Pulmonary hamartoma
2. Pulmonary hemorrhage
3. Pulmonary teratoma
4. Pulmonary embolism

Correct answer: 1. Pulmonary hamartoma

Explanation: Ans is 'a' i.e. Pulmonary hamartoma o Lung hamartomas# Peripheral lung masses# Composed of normal pulmonary tissue components.# More common in men than in women peak incidence in the 60s.# Often incidental radiographic findings as solitary nodules.# The have a pathognomonic "popcorn "pattern of calcification in some cases: without such a finding, resection is necessary to rule out malignancy, especially in smokers.